A lady with a history of epigastric pain radiating to back for three days with normal Serum amylase levels and abdomen ultrasonogram (USG) revealed cholelithiasis and an enlarged pancreas. CT scan confirmed the underlying pathology. Which of the following is the most likely diagnosis.
1. Acute Cholecystitis
2. Acute Pancreatitis
3. Acute Appendicitis
4. Acute Peritonitis

Correct answer: 2. Acute Pancreatitis

Explanation: History of epigastric pain radiating to back along with an enlarged (edematous) pancreas on ultrasonography suggests a diagnosis of Acute Pancreatitis. Serum amylase levels may be normal during an attack of acute pancreatitis. Ref: Bailey and Love Short Practice of Surgery 24th Edition, Page1123-1125; Harrison's 17th Edition, Page 2003, 2004, 2007; Current Diagnosis & Treatment in Gastroenterology (Wiley Blackwell) 4th Edition, Page 516; Basic skills in Interpreting Laboratory Data by Mary Lee 4th Edition, Page 7251.